Chronic recurrent synovitis with history of pustules in multiple sites diagnostic of ?
1. Werner’s syndrome
2. Wartenberg’s syndrome
3. SAPHO syndrome
4. Wermer syndrome

Correct answer: 3. SAPHO syndrome

Explanation: Ref. Textbook of Orthopedics, Ebnezar. Page. 688
 
SAPHO Syndrome

SAPHO syndrome is a chronic disorder that involves the skin, bone, and joints.
SAPHO is an acronym for the combination of synovitis, acne, pustulosis, hyperostosis, and osteitis.
Genetic predisposition is suggested by the higher prevalence of HLA-B27
There is no specific treatment – Supportive care only.